The most common cause of Cushing's syndrome is-
1. Pituitary adenoma
2. Adrenal adenoma
3. Ectopic ACTH
4. Iatrogenic steroids

Correct answer: 4. Iatrogenic steroids

Explanation: m/c cause of ACTH dependent cushings syndrome is PITUTATRY ADENOMA. M/C cause of ACTH independent cushings syndrome is IATROGENIC STEROIDS. OVER ALL M/C cause of cushings syndrome is IATROGENIC STEROIDS. Reference : page 2314 Harrison's Principles of Internal Medicine 19th edition